Which of the following is true regarding Salmonella infection -
1. Urine culture is + ve in 1st week
2. Stool culture is + ve in 1st week
3. Blood culture is + ve in 3-7 days
4. Widal test is + ve in 1st week

Correct answer: 3. Blood culture is + ve in 3-7 days